Most common ocular lymphoma-
1. T-cell lymphoma
2. Hodgkin's lymphoma
3. B-cell NHL
4. Pre T-cell lymphoma

Correct answer: 3. B-cell NHL

Explanation: Hodgkin lymphoma very rarely causes ocular disease, non-Hodgkin lymphoma (NHL) is the most common type of ocular lymphoma. Basic Pathology, Robbins.